In synthesis of fatty acid, energy is supplied by
1. NAD
2. FAD
3. GTP
4. NADPH

Correct answer: 4. NADPH

Explanation: An important point to remember is that the co-enzyme utilised for de novo synthesis is NADPH. The sources of NADPH for fatty acid synthesis are 1. Pentose Phosphate Pathway This is the main source. Tissues having active lipogenesis (liver, adipose tissue, lactating mammary gland) have an active HMP shunt pathway also. 2. Malic Enzyme Malate + NADP+ - Pyruvate + CO2 + NADPH + H+ The reaction also helps to transfer cytoplasmic oxaloacetate to the mitochondria. For every molecule of acetyl CoA delivered to the cytoplasm, one molecule of NADPH is formed and reducing equivalents are generated in cytoplasRef: DM Vasudevan - Textbook of Biochemistry, 6th edition, page no: 139